In post op ward of ICU. five pts developed wound infection on same wound. The best way to prevent MRSA outbreak in indoor pts is:
1. Give vancomycin to all patients
2. Fumigation of ward
3. Disinfect floor with sodium hypochlorite
4. Practice proper meticulous hand washing

Correct answer: 4. Practice proper meticulous hand washing

Explanation: practise proper meticulous hand washing "Given the prominence of cross infection, hand washing is the single most important preventive measure in the hospital" - Harrison 15/e Harrison 17/e writes- "Given the prominence of cross-infection, hand hygiene is the single most important preventive measure in hospitals. Use of alcohol hand rubs between patient contacts is now recommended for all health care workers except when the hands are visibly soiled, in which case washing with soap and water is still required." "Expert groups agree that the major focus on MRSA control is the prevention of hand transfer of MRSA"- The Control and Prevention of MRSA in Hospitals and in the Community Extensive use of Vancomycin for prophylaxis has been found to lead to Vancomycin resistant Staph. aureus.